Chronic alcoholic assaulted his neighbor. He had quit drinking 4 days back but now has delirium tremens. He is:
1. Fully responsible
2. Family is responsible
3. Partially responsible
4. Not responsible

Correct answer: 4. Not responsible

Explanation: Ans. Not responsible